Glycine is useful in all of the following except
1. Purine synthesis
2. Creatine synthesis
3. Spermine synthesis
4. Heme synthesis

Correct answer: 3. Spermine synthesis

Explanation: Spermine is a type of polyamine.This is aliphatic amine and it is synthesized from ornithine. Key enzyme is ornithine decarboxylase. REFERENCE : DM.VASUDEVAN.TEXTBOOK; SEVENTH EDITION ; PAGE NO : 229